Drug-induced diabetes is seen with all the following except
1. Diazoxide
2. Hydrochlorthiazide
3. Alloxan
4. None

Correct answer: 4. None

Explanation: Diabetes is induced by alloxan and streptozotocin in animals for expirimental purposes. Thiazides also cause hyperglycemia Ref: HL sharma 3rd ed.Pg: 234-235